Maximum source of linoleic acid is
1. Coconut oil
2. Sunflower oil
3. Palm oil
4. Vanaspati

Correct answer: 2. Sunflower oil

Explanation: Ans. is 'b' i.e. Sunflower oil Dietary sources of linoleic acidSafflower oil 73%Com oil 57%Sunflower oil 56%Soyabean oil 51%* Linoleic acid is an essential fatty acidEssential fatty acids are those that cannot be synthesized by human bodies. These are*Linoleic acidLinolenic acidArachidonic acidEicosapentaenoic acidOf these essential fatty acids the most important essential fatty acid is- linoleic acid* (because it serves as a basis for the production of other essential fatty acids).Dietary sources of other EFAArachidonic acid -Meat, eggs, milk*Linoleic acid -Soyabean oil*Eicosapentaenoic acid -Fish oil*Also Remember * Richest source of vit A -Fish liver oil** Richest source of vit D -Cod liver oil** Richest source of vit K -Cow's milk** Richest source of vit B12 -liver** Richest source of folic acid -green leafy vegetables** Richest source of iron is -Jaggery** Richest source of iodine is -seafood's and cod liver oil*